What will be the diagnosis of the child with pulsatile swelling on medial side of the nose -
1. Teratoma
2. Meningocele
3. Dermoid cyst
4. Carcinoma of ethmoid bone

Correct answer: 2. Meningocele

Explanation: Ans is 'b' ie Meningocele "Meningocele (protrusion of the meninges with CSF), or Encephalocele (protrusion of the brain) or Meningoencephalocele (protrusion of the meninges as well as brain) are sometimes met with at the roof of the nose, the occipital region or anterior fontanelle. The), are diagnosed by their typical situation (in the midline) impulse on coughing or crying and translucency."- S. Das manual